In Ulnar nerve injury in arm, all of the following are seen except
1. Hypothenar atrophy
2. Adduction of thumb
3. Loss of sensation of medial 1/3 of the hand
4. Claw hand

Correct answer: 2. Adduction of thumb

Explanation: Ulnar nerve enters hand by passing superficial to flexor retinaculum at the distal border of which it divides into superficial and deep terminal branches. The deep branch dips between abductor digiti minimi and flexor digiti minimi and pierces opponents digiti minimi to enter the deep part of palm. Here it turns within the concavity of deep palmar arch to end by supplying adductor pollicis. Hence injury of ulnar nerve leads to loss of adduction of thumbthe deep terminal branch gives muscular branches to - 3 hypothenar muscles ( hence they also atrophy in nerve injury), adductor pollicis, palmar and dorsal interossei, medial 2 lumbricals.the palmar cutaneous branch of ulnar nerve supplies skin of medial1/3 of hand.Reference: Textbook of anatomy upper limb and thorax, Vishram Singh, 2nd edition, page no.150, 180